Which of the following is the most specific test for Rheumatoid arthritis
1. Anti-ccp antibody
2. Anti Igm antibody
3. Anti IgA antibody
4. Anti IgG antibody

Correct answer: 1. Anti-ccp antibody

Explanation: to establish diagnosis of rheumatoid arthritis are * Clinical criteria * ESR and CRP * Ultrasound or MRI * Rheumatoid factor and anti-citrullinated peptide antibodies DAVIDSON'S 22nd EDITION;PAGE NO 1100